Chances of an offspring being affected when one parent is autosomal dominant heterozygote ?
1. 25%
2. 50%
3. 100%
4. None

Correct answer: 2. 50%

Explanation: Ans. is 'b' i.e., 50%